Which of the following is not a reducing sugar -
1. Fructose
2. Galactose
3. Sucrose
4. Maltose

Correct answer: 3. Sucrose

Explanation: Ans. is 'c' i.e., Sucrose Reducing sugarsNon-reducing sugarsGlucoseFructoseGalactoseLactoseMaltoseCellobioseMelibioseSucroseTrehelose